Neurofibromatosis 1 criteria include all except:
1. Brain tumor
2. Acoustic neuromas
3. Dysplasia of the sphenoidal and tibial bone
4. Cafe-au-lait spots

Correct answer: 2. Acoustic neuromas

Explanation: In Neurofibromatosis 1 (NF1), two or more of the following clinical manifestations are present: Six or more Cafe-au-lait macules Axillary and inguinal freckling Two or more iris Lisch nodules Two or more neurofibromas or 1 plexiform neurofibroma A distinctive osseous lesion such as sphenoidal and tibial dysplasia Optic gliomas A 1st degree relative with NF1 Ref: Nelson textbook of pediatrics 21st edition pgno: 3141